Which of the following can be given as a single weight-based intravenous bolus over 10 seconds?
1. Tissue plasminogen activator (tPA)
2. Tenecteplase (TNK)
3. Reteplase (rPA)
4. Any of the above

Correct answer: 2. Tenecteplase (TNK)

Explanation: .Tenecteplase is an enzyme used as a thrombolytic drug. Tenecteplase is a tissue plasminogen activator produced by recombinant DNA technology using an established mammalian cell line. Tenecteplase is a tissue plasminogen activator (tPA) produced by recombinant DNA technology using an established mammalian cell line (Chinese hamster ovary cells). Tenecteplase is a 527 amino acid glycoprotein developed by introducing the following modifications to the complementary DNA (cDNA) for natural human tPA: a substitution of threonine 103 with asparagine, and a substitution of asparagine 117 with glutamine, both within the kringle 1 domain, and a tetra-alanine substitution at amino acids 296-299 in the protease domain. Tenecteplase is a recombinant fibrin-specific plasminogen activator that is derived from native t-PA by modifications at three sites of the protein structure. It binds to the fibrin component of the thrombus (blood clot) and selectively converts thrombus-bound plasminogen to plasmin, which degrades the fibrin matrix of the thrombus. Tenecteplase has a higher fibrin specificity and greater resistance to inactivation by its endogenous inhibitor (PAI-1) compared to native t-PA. pharmacokinetics: Distribution: approximates plasma volume Metabolism: Primarily hepatic Half-life elimination: Biphasic: Initial: 20-24 minutes; Terminal: 90-130 minutes Excretion: Clearance: Plasma: 99-119 mL/minute Ref Robbins 9/e pg 234